The first costochondral joint is a type of:
1. Fibrous joint
2. Synovial joint
3. Syndesmosis
4. Syncendrosis

Correct answer: 4. Syncendrosis

Explanation: The first to seventh rib are connected to a cartilage around the sternum, this cartilage is the inturn connected to the sternum. The joint between the first rib and cartilage is called a costochondral joint, it is a synchondroses surrounded by periosteum. Chondrosternal joint is a type of synovial joint. Cartilagenous joints are composed of nonvascular connective tissue. These are either slightly mobile or immobile. Symphyses and synchondroses are two types of cartilaginous joints. Synchondrosis is a type of joint in which the bones are united by bands of hyaline cartilage. This type of joint is seen in epiphyseal plate and at the first costochondral junction. Ref: Clinical Anatomy for students: Problem solving approach By Neeta V. Kulkarni, Page 915 ; Clinical Anatomy by region's by Richard S Snell, Page 51 ; Dynamic Alignment Through Imagery By Eric Franklin 2nd Edition, Page 364 ; Using Medical Terminology: A Practical Approach By Judi Lindsley Nath, Page 249